Which among the following is the best laboratory test to estimate iron store in the body?
1. Transferrin
2. Serum iron
3. Hemoglobin
4. Ferritin

Correct answer: 4. Ferritin

Explanation: Nutrition Iron Deficiency Serum Ferritin The serum ferritin correlates with the total body iron stores. Serum ferritin is the most convenient test to estimate iron stores. Serum ferritin less than 15mcg/L is suggestive of absent body iron stores. Iron deficiency causes microcytic hypochromic anaemia. Serum Feritin is used as a test to detect Iron depletion in pregnancy. Exam Detail: AIPGME 04 Ref: Harrisons Textbook of Internal Medicine 18th Edn, Page 847.